Depressors of Mandible -
1. Median pterygoid
2. Masseter
3. Lateral pterygoid
4. Temporalis

Correct answer: 3. Lateral pterygoid

Explanation: Depressors of the mandible are:-


Muscle of mastication: Lateral pterygoid (major depressor).
Suprahyoid muscles: Digastric, mylohyoid, geniohyoid.


Elevators of the mandible are:-


Muscles of mastication: Masseter, temporalis, medial pterygoid.